Cementum formation is seen
1. After dentin formation
2. Before dentin formation
3. Both are formed at same time
4. None of the above

Correct answer: 1. After dentin formation